The rate of newly synthesized Osteoid mineralization is best estimated by
1. Tetracycline labelling
2. Alizarine red staining
3. Calceine stain
4. Von Kossa stain

Correct answer: 1. Tetracycline labelling

Explanation: Reference Robbins page no 358 6th edition Tetracycline is absorbed into bone and so it is used as a marker of bone growth for biopsies in humans. Tetracycline binds to newly formed bone at the bone interface where it shows as a linear fluroscencse. Tetracycline labelling is used to determine the amount of bone growth within a certain period of time